Ebstein Barr virus is associated with -
1. Carcinoma larynx
2. Carcinoma bladder
3. Carcinoma nasopharynx
4. Carcinoma maxilla

Correct answer: 3. Carcinoma nasopharynx

Explanation: EB virus infection leads to Infectious mononucleosis, Burkitt's lymphoma, Nasopharyngeal carcinoma in persons of Chinese origin Lymphoma in immunodeficient persons such as AIDS. REF:ANATHANARAYAN AND PANIKER'S TEXTBOOK OF MICROBIOLOGY 8TH EDITION PAGE NO:475